Which antibiotic acts by inhibiting protein synthesis?
1. Cefotetan
2. Doxycycline
3. Ciprofloxacin
4. Oxacillin

Correct answer: 2. Doxycycline

Explanation: Inhibit protein synthesis: Tetracycline,Chloramphenicol, Erythromycin, Clindamycin, Linezolid. ESSENTIALS OF MEDICAL PHARMACOLOGY page no. 690